Indications for lung transplantation are all Except
1. COPD
2. Alpha 1 antitrypsin deficiency
3. Cystic fibrosis
4. Ca lung

Correct answer: 4. Ca lung

Explanation: The indications span the gamut of lung diseases, but in some respects, the distribution of indications differs among countries. According to aggregate international data, the most common indications in the last few years have been the chronic obstructive pulmonary disease (COPD), ~29%; idiopathic pulmonary fibrosis (IPF), ~28%; cystic fibrosis (CF), ~16%; a1-antitrypsin deficiency emphysema, ~3.5%; and idiopathic pulmonary arterial hypertension (IPAH), ~3%. Other diseases have made up the balance of primary indications, and retransplantation has accounted for ~3% of procedures.Reference: Harrison's Principles of Internal Medicine; 19th edition; Chapter 320e; Lung Transplantation